Valley fever desert rheumatism is caused by:
1. Sporothrix
2. Coccidioides
3. Phialophora
4. Histoplasma

Correct answer: 2. Coccidioides

Explanation: Ans. is 'b' i.e., Coccidiodes(Ref: Ananthanarayan, 9th/e, p. 612)Valley fever or desert rheumatism is a self-limited influenza like fever caused by Coccidioides immitis.